A 60-year-old male Suresh is hospitalized with muscle pain, fatigue and dark urine. His past medical history is significant for stable angina. The patient's medications include atenolol, atorvastatin, and aspirin. His urine dipstick test is positive for blood but urine microscopy did not reveal RBCs in the urine. Serum creatinine kinase was significantly raised in this person. The addition of which of the following medications is most likely to have precipitated this patient's condition?
1. Erythromycin
2. Rifampin
3. Griseofulvin
4. Amikacin

Correct answer: 1. Erythromycin

Explanation: Diagnosis in this condition is Rhabdomyolysis suggested by myoglobinuria (red coloured urine without RBCs) and raised creatinine kinase levels. Statins can cause serious s/e like myopathy and hepatitis. Most statins are metabolized by cytochrome P-450 3A4, with the exception of pravastatin. Concomitant administration of drugs that inhibit statin metabolism (e.g. macrolides- Erythromycin) is associated with increased incidence of statin induced myopathy and rhabdomyolysis. Acute renal failure is a possible sequelae of rhabdomyolysis.